Reed Sternberg cells are found in:
1. Hodgkin's disease
2. Sickle cell anemia
3. Thalassemia
4. CML

Correct answer: 1. Hodgkin's disease

Explanation: a. Hodgkin's disease(Ref: Nelson's 20/e p 2445-2448, Ghai 8/e p 608-610)Diagnostic Hallmark of Hodgkin Lymphoma are Reed-Sternberg cells, which are binucleate cell or having a single nucleus with multiple nuclear lobes.